Which of the following is false about monoclonal gammopathy of unknown significance (MGUS)?
1. Less than 3g/dL of monoclonal protein
2. No evidence of Bence-Jones proteinuria
3. Bone marrow plasma cells less than 10%
4. Does not progress to multiple myeloma

Correct answer: 4. Does not progress to multiple myeloma

Explanation: MGUS: MGUS is the most common plasma cell disorder Asymptomatic BM Plasma Cells < 10% S. Para Protiens < 3g/dl 3% of MGUS ( aged > 50yr) can develop Multiple myeloma. 5% Of MGUS (aged >70yr) can develop multiple myeloma. Approximately 1% of patients with MGUS develop a symptomatic plasma cell neoplasm, usually multiple myeloma, per year.